A 5-year-old boy is taken to his pediatrician for a laceration on his right knee. A mass on his neck is noticed; his mother states it has been there for several months and is slowly getting larger. The mass is slightly to the left of midline. What is the most likely diagnosis? SELECT ONE.Ultrasound of neck. Midline hypoechogenic mass anterior and superior to the thyroid gland
1. Chondroma
2. Dermoid cyst
3. Thyroglossal duct cyst
4. Laryngocele

Correct answer: 3. Thyroglossal duct cyst

Explanation: The thyroid develops from the foramen cecum in the tongue and descends to its definitive position in the neck. Failure of the tract to close may result in a thyroglossal duct cyst.